What is the formula for lytic complex in complement system?
1. C5a
2. C5-9
3. C3b
4. C3a

Correct answer: 2. C5-9

Explanation: Ans. is 'b' i.e., C5-9 * C5-9 Called membrane attack complex (MAC). It forms channel in the lipid membrane and causes cell lysis (including bacteria).